Brown - sequard syndrome -
1. Pain loss in the opposite side of lesion
2. Fine touch lost in opposite side of lesion
3. UMN paralysis in opposite side of lesion
4. LMN paralysis in opposite side of lesion

Correct answer: 1. Pain loss in the opposite side of lesion

Explanation: In Brown sequard syndrome, a hemisection of the spinal cord results in
-        Sensory

Loss of Ipsilateral dorsal column sensations- Proprioception, vibration, fine touch, Kinesthesia.​
Loss of contralateral lateral column sensations- Pain, temperature

-        Motor

 Loss of ipsilateral corticospinal action- results in UMNL- Weakness, spasticity, Extensor plantar response.